Cyclic trends are seen in which of the following
1. Rabies
2. Measles
3. Cholera
4. Hepatitis

Correct answer: 2. Measles

Explanation: .some disease occur in cycles spread over short periods of time which may be days ,weeks,or months.or years.for example measles in pre vaccination era appeared in cycles with major peaks every 2 to 3 years and rubella every 6 or 9 years.this was due to naturally occurring variations in herd immunity. ref:park's textbook,ed 22,pg no 62